The prostatic urethra is the widest and most dilatable part of the entire male urethra. All of the following are TRUE about prostatic urethra, EXCEPT:
1. Trapezoid in cross-section
2. Presence of verumontanum
3. Has opening of prostatic ducts
4. Contains urethral crest

Correct answer: 1. Trapezoid in cross-section

Explanation: In cross section the prostatic urethra appears crescent shaped in outline with the convex side facing ventrally. The characteristic crescent shape is due to the presence on the posterior wall of a narrow median longitudinal ridge formed by an elevation of the mucous membrane and its subjacent tissue, called the urethral crest. On each side of the crest lies a shallow depression termed the prostatic sinus, the floor which is pierced by the openings of the prostatic ducts. About the middle of the length of the urethral crest, the colliculus seminalis (or verumontanum) forms an elevation. Ref: Textbook of Benign Prostatic Hyperplasia By Roger S. Kirby, John M. Fitzpatrick, John D. McConnell, 2005, Page 3, 4.